Best indicator for nutritional status for a child is -
1. Mid arm circumference
2. Head circumference
3. Rate of increase of height and weight
4. Chest circumference

Correct answer: 3. Rate of increase of height and weight

Explanation: Rate of increase of height and weight is the best measure for nutritional status of a child. REF. PARK'S TEXTBOOK OF PREVENTIVE AND SOCIAL MEDICAL 21ST EDITION. 500,501